Lt border of the heart in C.X.R. is formed by:
1. Pul.artery
2. Pul. vein
3. Abdominal aorta
4. All

Correct answer: 1. Pul.artery

Explanation: A i.e. Pulmonary artery